AML with gum infiltration, hepato- splenomegaly is most likely to be:
1. ALL
2. M3
3. M2
4. M4

Correct answer: 4. M4

Explanation: In tumors with monocytic differentiation M4 and M5 (more commonly) infiltration of the skin (leukemia cutis) and the gingiva leading to gum hypertrophy can be observed M4 and M5 both show gum hypertrophy and leukemia cutis. M4 is positive for MPO +. M5 is positive for Non Specific esterase .